Deep peroneal nerve supplies
1. 1st web space of foot
2. 5th web space of foot
3. Antero lateral dorsum of foot
4. Lateral part of leg

Correct answer: 1. 1st web space of foot

Explanation: DEEP PERONEAL:- Muscular branches to muscles of anterior compartment of leg: Tibialis anterior, extensor hallucis longus, extensor digitorum longus, and peroneus tertius.Extensor digitorum brevis Cutaneous: dorsal digital nerves for adjacent sides of big toe and second toe. Articular branches: Ankle joint, tarsal joints, tarsometatarsal joints and metatarsophalangeal joint of big toe. {Reference:BDC 6E }